Patchy hair loss with velvety skin points to the diagnosis of
1. Alopecia aereata
2. Trichotelomania
3. Hyperthyroidism
4. Adenoma sebacicum

Correct answer: 3. Hyperthyroidism

Explanation: Ans. is 'c' i.e., Hyperthyroidism Hair loss in combination with velvety skin is seen in patients with excess of thyroid hormone production; thus the most probable answer is hyperthyroidism